"Eleks" test is for:
1. Influenza
2. Diptheria
3. Brucella
4. Cholera

Correct answer: 2. Diptheria

Explanation: Diptheria